The pharyngeal diverticulum is a protustion of mucosa between-
1. The two parts of inferior constrictor muslce of the pharynx
2. The two parts of middle constrictor muslce of the pharynx
3. The two parts of the superior constrictor muscle of the pharynx
4. Cricopharyngeal and posterior part orT suprahyoid membrane

Correct answer: 1. The two parts of inferior constrictor muslce of the pharynx

Explanation: Ans. is 'a' i.e., The two parts of inferior constrictor muscle of the pharynx